Most common cause of stridor in children is -
1. Laryngeal papilloma
2. Laryngeal web
3. Laryngomalacia
4. Vocal cord palsy

Correct answer: 3. Laryngomalacia